Nasopharynx is lined by -
1. Stratified squamous keratinized epithelium
2. Stratified squamous non-keritimized epithelium
3. Cuboidal epithelium
4. Ciliated columnar epithelium

Correct answer: 4. Ciliated columnar epithelium

Explanation: Ans. is 'd'i.e., Ciliated columnar epithelium o Repeat from All India Dec - 15